Which of the following acts on nuclear receptors?
1. GABA
2. Insulin
3. α1 - receptor
4. Thyroxine

Correct answer: 4. Thyroxine

Explanation: Nuclear receptors : Thyroxine, Estrogen, Vitamin D, Vitamin A, Testosterone.
Cytoplasmic receptors : Glucocorticoids, Mineralocorticoids.